Muscle of mastication are derived from
1. 1st arch
2. 2nd arch
3. 3rd arch
4. 4th arch

Correct answer: 1. 1st arch

Explanation: First pharyngeal arch is also called mandibular archMUSCLES-Temporalis, Lateral pterygoid, Medial pterygoid, Masseter, Mylohyoid, Anterior belly of digastric, Tensor tympani, Tensor palatiSKELETAL ELEMENTS-Premaxilla,maxilla,zygomatic,temporal,Meckel's cartilageLIGAMENTS-Anterior ligament of malleus, sphenomandibular ligamentNERVE-Mandibular nerveARTERY-Maxillary artery